The supraoptic nucleus of the hypothalamus is believed to control the secretion of which of the following hormones?
1. antidiuretic hormone
2. prolactin
3. growth hormone
4. adrenocorticotrophic

Correct answer: 1. antidiuretic hormone

Explanation: (A) antidiuretic hormone # Supraoptic nucleus> The supraoptic nucleus (SON) is a nucleus of magnocellular neurosecretory cells in the hypothalamus of the mammalian brain. The nucleus is situated at the base of the brain, adjacent to the optic chiasm, and, in humans, it contains about 3,000 neurons.> Function> The cell bodies produce two closely-related peptide hormones, vasopressin and oxytocin. Every supraoptic neuron is thought to make either oxytocin or vasopressin, although a few make both.> In the cell bodies, the hormones are packaged in large, membrane-bound vesicles which are transported down the axons to the nerve endings.